Furosemide should not be administered with NSAIDs because latter :
1. Prevent platelet aggregation
2. Inhibit prostacyclin synthesis
3. Decrease sodium reabsorption
4. Increase the secretion of furosemide in urine

Correct answer: 2. Inhibit prostacyclin synthesis